This drug depolarizer cell membranes of aerobic Gram Positive Bacteria. It is effective against vancomycin resistance entercoccal infection. It may cause myopathy especially in patients taking stating .it is
1. Teicoplann
2. Daptomycin
3. Linezolid
4. Streptogramin

Correct answer: 2. Daptomycin

Explanation: (Ref: KDT 6/e p741, Daptomvcin is a newer antibiotic that acts by causing depolarization.of bacterial cell membranes. It is effective in MRSA, VRSA and even streptogramin resistant SA infections as well as VRE infections. It can cause myopathy in patients taking statins.